Munchausen by proxy includes all, except:
1. Admission of abuse by parents
2. Illness does not suggest particular disease
3. Child becomes ill in presence of the caregiver
4. Laboratory and X-ray findings are negative

Correct answer: 1. Admission of abuse by parents

Explanation: Ans. Admission of abuse by parents